All of the following are advantages of LMA Except
1. More reliable than face mask
2. Prevent aspiration
3. Alternative to endotracheal intubation
4. Does not require laryngoscope & visualization

Correct answer: 2. Prevent aspiration

Explanation: LMA is intermediate between the face mask and endotracheal intubation in terms of reliability, invasiveness, and facilitation of gas exchange (face mask has minimum and endotracheal intubation has maximum)LMA does not prevent aspiration - should not be used in full stomach patientsLMA can be used as an alternative to endotracheal intubation for minor surgeries, where anaesthetist wants to avoid intubationLMA is introduced blindly (without laryngoscopy)